Which of the following phrase adequately describes Pacinian corpuscles:
1. A type of pain receptors
2. Slowly adapting touch receptors
3. Rapidly adapting touch receptors
4. Located in the joints

Correct answer: 3. Rapidly adapting touch receptors

Explanation: C i.e. Rapidly adapting touch receptorsPacinion Corpuscles are rapidly adapting touch receptorsQ. It responds only to transient touch, not to sustained pressure because the corpuscle rapidly adapts and dissipates the pressure.